Splenectomy can be performed after immunization against which of the following organisms:
1. Haemophilus influenza
2. Streptococcal pneumonia
3. Neisseria meningitides
4. All of the above

Correct answer: 4. All of the above

Explanation: Ans. D. All of the aboveSplenectomy is usually performed after 6 years of age following immunizations against H influenza type b, streptococcal pneumonia and Neisseria meningitides. Post splenectomy patients receive penicillin prophylaxis to prevent sepsis usually up to adulthood.